Propranolol should not be given to a patient on treatment with which of the following drug
1. Nifedipine
2. Nitrates
3. Verapamil
4. ACE inhibitor

Correct answer: 3. Verapamil

Explanation: Refer kDT 6/e p 533 Propranolol is contraindicated in patients with asthma, chronic obstructive pulmonary disease (COPD), atrioventricular (AV) block, intermittent claudication, and psychosis. The most frequent adverse effects are lightheadedness, fatigue, dyspnea upon exertion, bronchospasm, insomnia, impotence, and apathy. In COPD cases, calcium channel blockers are indicated in place of beta blockers